Which of the following is not a clinical presentation of Pituitary Apoplexy?
1. Headache
2. Hypotension
3. Hypertension
4. Vomiting

Correct answer: 3. Hypertension

Explanation: Pituitary apoplexy: Most frequent presentation isheadache- Retro-orbital in location. Nauseaandvomitingmay occur due to adrenal insufficiency, meningeal irritation, and hypothalamic dysfunction or raised intracranial pressure. Neck stiffnessis observed in patients with pituitary apoplexy and can be to sub-arachnoid haemorrhage. Anosmiadue to olfactory nerve involvement, epistaxis or CSF rhinorrhoea due to erosion of seller floor. Adrenal insufficiency leading toaerial hypotensionandhypoglycaemia, and hypothalamic compression.